Most immunogenic Typhoid antigen
1. O antigen
2. H antigen
3. Vi antigen
4. Somatic antigen

Correct answer: 2. H antigen